Na+ Glucose transporter is-
1. Primary active transporter
2. Secondary active transport
3. Antiport
4. uniport

Correct answer: 2. Secondary active transport

Explanation: Ans. is B. Secondary active transport Ganong-s_Review_of_Medical_Physiology-__24th_Edition- An example is the symport in the intestinal mucosa that is responsible for the cotransport of Na + and glucose from the intestinal lumen into mucosal cells Transport mechanism Examples Simple diffusion Movement of fats, oxygen, CO2 through lipid portion of membrane Facilitated diffusion Movement of glucose and some amino-acids Osmosis Movement of water into and out of the cell Primary active transport Ions K+, Na+, Ca++, H+ Secondary active transport Glucose or amino-acid into the cell along Na+ (Symport or cotransport) Ca+2, H+ out of the cell against Na+ (Antiport or countertransport)